Topical steroid is contraindicated in which ocular condition -
1. Anterior uveitis
2. Posterior uveitis
3. Fungal Corneal ulcer
4. Moorens ulcer

Correct answer: 3. Fungal Corneal ulcer

Explanation: Ans. is 'c' i.e., Fungal Corneal ulcer * Topical steroids enhance fungal replication and corneal invasion and are contraindicated during early therapy of a fungal corneal ulcer.